Which is not a chemical antidote
1. Lugol's iodine
2. Tannic acid
3. B.A.L
4. Weak vegetable acids

Correct answer: 3. B.A.L

Explanation: Chemical antidotes: - Lugol's iodine - Tannic acid - Weak vegetable acids - Weak non carbonate alkalis - Potassium permanganate B.A.L - chelating agent